Cadmium causes ?
1. Proximal tubular necrosis
2. Distal tubular necrosis
3. Asthma
4. Cirrhosis

Correct answer: 1. Proximal tubular necrosis

Explanation: Ans. is 'a' i.e., Proximal tubular necrosis Cadmium causes : Itai-Itai' disease. Proximal tubular necrosis Osteomalacia, bone pain, pathological fractures. Golden yellow staining of teeth. Emphysema and anemia.